Deep branch of ulnar nerve supplies:
1. Abductorpollicis brevis
2. Flexor pollicis brevis
3. Opponens pollicis
4. Adductor pollicis

Correct answer: 4. Adductor pollicis

Explanation: (Adductor pollicis) Ref: 173-74-BDC-l, 583, 547-Snell 7thULNAR NERVE: (C8 and Tl) arise from the medial cord of the brachial plexus and descends in the interval between the axillary artery and vein. The ulnar nerve gives no branches in the axilla:Superficial Branch of the ulnar nerveThe nerve and artery may lies in a fibro-osseous tunnel, the tunnel of Guyon. Created by fibrous tissues derived from the superficial part of the flexor retinaculum(I) Muscular branch - to the palmaris brevis(II) Cutaneous branch - to the palmar aspect of the medial side of the little finger and the adjacent sides of the little and ring fingers. It also supplies the distal half of each fingers.Deep Branch of the ulnar nerveMuscular branches to three hypothenar eminance (abductor digitiminimi, Flexor digit, minimi, the opponans digiti minimi)* It also supplies all palmer & dorsal interossei* Third & fourth lumbrical muscles* Both heads of the adductor pollucis muscle* A bductor pollicis brevis, flexor pollicis brevis, Opponens pollicis are supplied by Median nerve.